Submucosa is absent in which part of hard palate?
1. Lateral and medial portion of hard palate
2. Only medial portion of hard palate
3. Anterior part of the lateral portion of hard palate
4. Posterior part of the lateral portion of hard palate

Correct answer: 2. Only medial portion of hard palate

Explanation: Submucosa is absent in the medial portion of the hard palate; thus the tissue has a firmer feeling when palpated. This firm feeling is enhanced as a result of the firmness with which the lamina propria is attached to the underlying bone; thus the lamina propria serves as a mucoperiosteum. The landmarks on the hard palate, the palatal rugae and the median palatal raphe, have histological features similar to those of the medial portion of the hard palate.